A Scatter diagram is drawn to study
1. Trend of a variable over a period of time
2. Frequency of occurrence of events
3. Relationship between two given variables
4. Mean & median values of the given data

Correct answer: 3. Relationship between two given variables

Explanation: SCATTER DIAGRAM
• Also known as ‘Correlation diagram’ or ‘Dot diagram’
• Is used to depict ‘correlation (relationship) between 2 quantitative variables’
• The vertical axis in the scatter diagram: should be the dependent or the outcome variable
• In a scatter diagram, 2 imaginary lines are drawn along the distribution of dots/scatter